Perinatal period corresponds to:
1. From 28 weeks of Gestation to 07 days after birth.
2. From conception to 28 weeks
3. From 20 weeks of gestation to birth
4. From 24 weeks of gestation to birth

Correct answer: 1. From 28 weeks of Gestation to 07 days after birth.

Explanation: Ans. A. From 28 weeks of gestation to 07 days after birthPerinatal Period: From 28 weeks of gestation to 07 days after birthNeonatal period: From birth to 28 days of lifeEarly neonatal period: From birth to 7 days of lifeLate neonatal period: From D7 to day 28 of life